Aspirin is contraindicated in-
1. Fever
2. Peptic ulcer
3. Unstable angina
4. Myalgia

Correct answer: 2. Peptic ulcer

Explanation: Ans. is 'b' i.e., Peptic ulcer Contraindications of AspirinPeptic ulcero Prostaglandin has cytoprotective function for gastric mucosa by inhibiting acid secretion and promoting secretion of mucus.o Aspirin inhibits synthesis of cytoprotective PG - bleeding & perforation may occur.Children with chicken pox & influenzao Aspirin can cause Reye's syndrome (hepatic encephalopathy),o Acknowledging this aspirin should not be given to children < 12 years, e.g. in JRA.Bleeding tendencieso By its antiplatelet action, aspirin can exacerbate bleeding.Chronic liver diseaseo Long-term therapy with high dose aspirin can cause insidious onset hepatic injury.PrecautionsIn CHF & low cardiac reserve patientso Aspirin reduces renal blood flow by inhibiting synthesis of vasodilator PGs -fluid & salt retention - worsening of CHF and renal failure may occur.Aspirin should be stopped 1 week before elective surgery so that platelet function becomes normal.In G-6-PD deficiencyo High doses can cause hemolysis.In diabeticso Aspirin causes increased utilization of glucose by increasing cellular metabolism, especially in skeletal muscle, due to uncoupling of oxidative phosphorylation - blood sugar may decrease and liver glycogen may be depleted, especially in diabitics - dangerous hypoglycemia may occur.